What is the drug of choice to control supraventricular tachycardia -
1. Adenosine
2. Propranolol
3. Verapamil
4. Digoxin

Correct answer: 1. Adenosine

Explanation: Ref Harrison 20th edition pg 1523